All of the following are true about Glycopyrrcolate except
1. It is a muscarine receptor antagonist
2. It decreases oropharyngeal secretions
3. It is a tertiary amine in structure
4. It is used as a preanesthetic medication

Correct answer: 3. It is a tertiary amine in structure

Explanation: Glycopyrrolate is quartenary amine which can't cross BBB and hence carries no CNS side effects.